Nail involvement is not a feature of :
1. Psoriasis
2. Drug induced lupus erythematous
3. Dermatophytosis/Tenia
4. Lichen Planus

Correct answer: 2. Drug induced lupus erythematous

Explanation: B i.e. DLE